Metachromatic Granules are stained by -
1. Ponder's stain
2. Negative stain
3. Gram's stain
4. Leishman stain

Correct answer: 1. Ponder's stain

Explanation: The granules are often situated at the poles of the bacilli and are called Polar bodies they are more strongly Gram positive than the rest of the bacterial cell stained with Loefflers methyelene blue the granules take up a bluish purple colur and are hence called Metachromatic Granules . They are also called Volutin or Babes Ernest Granules . These granules composed of polymetaphosphate and serve as storage granules . Special stains such as Alberts , Neissers and Ponders have been devised for demonstrating the granules clearly Ref :Ananthanarayan & paniker's Textbook of microbiology 9th edition pg no 237